A child presents to the clinic with history of seizures and intellectual disability. Clinical examination reveals multiple hypopigmented macules. What is the likely diagnosis?
1. Tuberous sclerosis
2. Neurofibromatosis
3. Sturge Weber syndrome
4. Linear epidermal nevus syndrome

Correct answer: 1. Tuberous sclerosis

Explanation: Tuberous sclerosis / Epiloia / Boruneville's disease Skin lesion Neurological Benign neoplasm Adenoma sebaceumQ (Facial angiofibroma) Ash leaf shaped hypopigmented maculesQ Shagreen patchQ - yellow thickening of lumbosacral skin Depigmented naevi SeizureQ Intellectual disability Subependymal nodulesQ which may calcify Hydrocephalus RhabdomyomaQ AngiomyomaQ of liver, kidney, pancreas etc EpendymomaQ AstrocytomaQ